Loop of Gallen is
1. Venous anastomosis of larynx
2. Arterial anastomosis of larynx
3. Nervous anastomosis of larynx
4. All of the above

Correct answer: 3. Nervous anastomosis of larynx

Explanation: Galen's anastomosis: It is anastomosis between superior and recurrent laryngeal nerves. Ref: Dhingra 7e pg 447.